A Neonate is brought with history of not having passed meconium on examination there is no anal opening but a dimple. Investigation of choice is ?
1. X-ray erect posture
2. X-ray supine posture
3. Gastrograffin study
4. Invertogram

Correct answer: 4. Invertogram

Explanation: Ans is d i.e. In veogram The radiograph is taken in inverted position